Which one of the following is the serious complication of degenerative myopia in the eye –
1. Retinal detachment
2. Vitreous liquification
3. Myopic crescent
4. Posterior staphyloma

Correct answer: 1. Retinal detachment

Explanation: Two most serious vision-threatening complications are:-
Macular degeneration : choroidal neovascularization (CNV) at macula.
a Retinal detachment